The schilling test is performed to determine the cause of-
1. Lactose malabsorption
2. Fatty acid malabsorption
3. Amino acid malabsorption
4. Cobalamin malabsorption

Correct answer: 4. Cobalamin malabsorption

Explanation: Schilling test. The Schilling test is a medical investigation used for patients with vitamin B12 (cobalamin) deficiency. The purpose of the test is to determine how well the patient is able to absorb B12 from their intestinal tract Ref Davidson edition23rd pg 805